What is the use of murphys eye present on the tip of endotracheal tube
1. Alternate path for ventilation if the proximal port gets blocked
2. Opening for suctioning
3. Continuous suctioning port
4. To make the tube light

Correct answer: 1. Alternate path for ventilation if the proximal port gets blocked

Explanation: Murphys eye is provided to serve as alternate pathway for ventilation. Murphy Endotracheal Tube. The "Murphy eye" is the eponymous name for a hole on the side of mostendotracheal tubes (ETTs) that functions as a vent, and prevents the complete obstruction of the patient's airway, should the primary distal opening of an ETT become occluded.